All are true about LDL except -
1. More dense than chylomicron
2. Smaller than VLDL
3. Transports maximum amount of lipid
4. Contains maximum cholesterol

Correct answer: 3. Transports maximum amount of lipid

Explanation: Ans. is 'c' i.e., Transports maximum amount of lipid o Maximum amount of lipid is present in chylomicrons.Composition of plasma lipoproteins ChylomicronVLDLLDLHDL1. Particle mass (kD)400,00010000-80,0002300175-3602. Density (g\cm3)<0.950.95-1.0061.018-1.0631.063-12213. Diameter (A)1000-10,000300-700150-25075-1004. ApolipoproteinsA, B, C, EB, C,EBA, C, D, E5. Components (% dry weight) Apolipoproteins Triacylglycerols Cholesterol Phospholipidsl. 5-2.584-894-87-95-1050-6515-2315-2020-257-1040-5015-2040-553-515-1820-35